Which of the following tests is used in the diagnosis of Tinea faciei?
1. Gram's stain
2. KOH mount
3. Tissue smear
4. Wood's lamp

Correct answer: 2. KOH mount

Explanation: Ans. B. KOH mountTinea faciei is the dermatophyte infection of the face and is diagnosed by KOH smear.* Tinea faciei is an infection of the glabrous skin of the face with a dermatophyte fungus (the mustache and beard areas of the adult male are excluded).* Trichophyton mentagrophytes and T. Rubrum predominate, but T. Tonsurans, M. audouinii, and M. canis are also common causes of Tinea faciei.Tinea faciei